A 30 year old man has 6/5 vision each eye, unaided. His cycloplegic retinoscopy is +1.0 D sph. at 1 metre distance. His complaints are blurring of newsprint at 30 cm, that clears up in about 2 minutes. The most probable diagnosis is:
1. Hypermetropia
2. Presbyopia
3. Accommodative inertia
4. Cycloplegia

Correct answer: 3. Accommodative inertia

Explanation: Ans. (c) Accommodative inertiaOption a- (Correction factor for distance (d) from which retinoscopy is done D=d1 Thus, for the patient, there is no refractory error.Option b- Presbyopia usually occurs at around 40 years of age, due to physiological insufficiency of accommodation, can not clear in 2 minutesOption d- cycloplegia leading to loss of accommodation, will resolve in hours to day depending upon the drug used (10-20 days after atropine)Option c- The accommodative system is slow in making a change and represents a case of accommodative inertia. Accommodative inertia refers to the delay in response of accommodation. Normally an accommodative change occurs in 1 sec."